Most common site for sialoliths is:
1. Parotid duct
2. Parotid gland
3. Submandibular gland and duct
4. Sublingual gland

Correct answer: 3. Submandibular gland and duct